Prevalence of cataract at one point of time can be determined by -
1. Longitudinal study
2. Cross sectional study
3. Surveillance
4. Cohort study

Correct answer: 2. Cross sectional study

Explanation: Cross-sectional study provides information about disease prevalence but it provides very little information about the natural history of disease or rate of occurrence of new cases (refer park pgno:69 23 rd edition)